Most common presentation of a child with Wilm's tumour is
1. Hematuria
2. Hypertension
3. Asymptomatic abdominal mass
4. Abdominal pain

Correct answer: 3. Asymptomatic abdominal mass

Explanation: Most common initial clinical presentation for Wilm's tumour is incidental discovery of Asymptomatic abdominal mass by parents while bathing an affected child or by physician during routine physical examination.